All are seen in papilloedema EXCEPT
1. Hyperemia of disc
2. Sudden vision loss
3. Both
4. None

Correct answer: 2. Sudden vision loss

Explanation: B i.e. Sudden loss of vision